All of the following can be considered as treatment for anxiety except -
1. Buspirone
2. Benzodiazepines
3. Serotonin reuptake inhibitors
4. Dopaminergic blockers

Correct answer: 4. Dopaminergic blockers